The cells belonging to the following type of epithelium are provided with extra reserve of cell membrane:
1. Transitional
2. Stratified squammous
3. Stratified cuboidal
4. Stratified columnar

Correct answer: 1. Transitional

Explanation: A i.e. Transitional